Midline cleft lip is due to failure of fusion of?
1. Two medial nasal processes
2. Medial & lateral nasal processes
3. Two lateral nasal processes
4. Any of the above

Correct answer: 1. Two medial nasal processes

Explanation: A i.e. Two medial nasal processesMidline cleft lip is d/t failure of fusion between two medial nasal processesQ